The epitheloid cell and multinucleated gaint cells of Granulomatous inflammation are derived from ?
1. Basophils
2. Eosinophils
3. CD 4 - T lymphocytes
4. Monocytes - Macrophages

Correct answer: 4. Monocytes - Macrophages

Explanation: Ans. is 'd' i.e., Monocyte macrophages In granulomatous inflammation o Main cells involved ----> Macrophages, CD-4 helper T cells. Epitheloid cells - Macrophages that develop epithelial like appearance. Multinucleated giant cells -4 Due to fusion of epitheloid cells.